Regarding anaplastic carcinoma which statement is false
1. Common in elderly
2. Associated with P53 mutation
3. Surrounding neck tissue is usually infiltrated
4. Radiotherapy cures

Correct answer: 4. Radiotherapy cures

Explanation: More commonly seen in elderly women. Local infiltration is an early feature of these tumours with spread by lymphatics and by the bloodstream. They are extremely lethal tumours and survival is calculated in months. p53 mutations are found in 15% of tumors, Source : Sabiston 20th edition Pg: 910